All have aromatic rings except
1. Phenylalanine
2. Tyrosine
3. Tryptophan
4. Lysine

Correct answer: 4. Lysine

Explanation: Aromatic amino acids are Tyrosine, tryptophan, and phenylalanine.Ref: Textbook of medical biochemistry, MN Chatterji, 8th edition, page no: 78